According to 'Biomedical concept' health is?
1. Relative absence of pain and discomfort
2. Absence of disease
3. A sound mind in sound body, in a sound family, in sound environment
4. None

Correct answer: 2. Absence of disease

Explanation: Ans. is 'b' i.e., Absence of disease